20 years old female came with complaint of a palpable painless mass in right breast. On examination, mass was mobile and hard in consistency. Ultrasound of right breast was performed . Most likely diagnosis is?
1. Breast cyst
2. Ductal papilloma
3. Fibroadenoma
4. Phylloid's tumour

Correct answer: 3. Fibroadenoma

Explanation: Ultrasound shows a well-defined hypoechoic lesion seen in right breast . Given the clinical history and age of the patient, most likely diagnosis is fibroadenoma . Breast cyst is anechoic on USG.